A patient has increased number of columnar cells in lower esophagus. He has which of the following change:
1. Dysplasia
2. Anaplasia
3. Metaplasia
4. Normal histology

Correct answer: 3. Metaplasia